CO binds with which complex of the electron transport chain?
1. Complex I
2. Complex II
3. Complex III
4. Complex IV

Correct answer: 4. Complex IV

Explanation: Complex IV inhibitors i. Carbon monoxide, inhibits cellular respiration ii. Cyanide (CN-) iii. Azide (N3-) iv. Hydrogen sulphide (H2S)Ref: DM Vasudevan Textbook of Medical Biochemistry, 6th edition, page no: 234